Inverse agonist is -
1. Buspirone
2. b-carboline
3. Flumazenil
4. Zolpidem

Correct answer: 2. b-carboline

Explanation: Ans. is 'b' i.e., b-carboline Drugs acting at BZD site of GABAA receptors o Agonist at BZD site of GABAA receptor -4 Benzodiazepine, Zolpidem, Zopiclone, Zoleplon. o Inverse agonist at BZD site of GABAA receptor --> b-carboline o Competitive antagonist at BZD site of GABAA receptor ---> Flumazenil